Which of the following lymph nodes receive lymphatic drainage from testes?
1. Internal iliac LN
2. Para aortic LN
3. Superior inguinal LN
4. Deep inguinal LN

Correct answer: 2. Para aortic LN

Explanation: Testicular lymphatics drain into the retroperitoneal lymph nodes; the right primarily into the interaortocaval area, the left into the para-aortic area, both just below the renal vessels. Lymph nodes of the testis extend from T1 to L4 but are concentrated at the level of the renal hilum because of their common embryologic origin with the kidney. Ref: Cooper C.S., Joudi F.N., Williams R.D. (2010). Chapter 38. Urology. In G.M. Dohey (Ed), CURRENT Diagnosis & Treatment: Surgery, 13e.